Most common ocular infection in AIDS:
1. Chlamydia
2. Herpes simplex
3. CMV
4. Rubella

Correct answer: 3. CMV

Explanation: Ans: c (CMV) Ref: Harrison, 16th ed, p. 1119Most common ocular infection in HIV - CMV retinitisMost common ocular lesion in HIV - HIV microvasculopathyMost common ocular neoplasm in HIV - Kaposi sarcomaEarliest/ most common abnormal/ most consistent finding in HIV - cotton wool spots